Ascending aorta Involvement is the commonest site of which aneuryam
1. Syphilitic
2. Atherosclerotic
3. Mycotic
4. None of the above

Correct answer: 1. Syphilitic

Explanation: Syphilitic aneurysm Tertiary sypilis... Trepenomonas has affinity for vaso vasorum of mainly thoracic aorta leads to obliterative endarteritis leads to ischemic damage to the aortic media and aneurysm Ramdas Nayak page no. 379